Tornwaldt cyst is
1. Laryngeal cyst
2. Nasopharyngeal cyst
3. Ear cyst
4. None

Correct answer: 2. Nasopharyngeal cyst

Explanation: Thornwaldt's disease or Pharyngeal bursitis is an infection of pharyngeal bursa located in the midline of the posterior wall of the nasopharynx. Ref: Textbook of ENT, Dhingra; 6th edition; Pg no: 245 ref img